True about H. Pylori-
1. It is flagellated
2. Involved in causation of peptic ulcer disease
3. Hypergastrinemia caused by it
4. All

Correct answer: 4. All

Explanation: Ans. is `All' `a' i.e., It is flagellated; 'b' i.e., Involved in causation of peptic ulcer disease;`c' i.e., Hypergastrinemia caused by it . H. pylori is a Gram negative, flagellated bacteria and it is motile by lophotrichous flagella. . More than 80% of duodenal ulcers and 60% of gastric ulcers are related to H. pylori colonization. Antral colonization of H. pylori diminishes the number of somatostatin - producing cells. Since somatostatin inhibits gastrin release, gastrin levels are higher (hypergastrinemia) than normal in H. pylori - positive persons. . Eradication of H. pylon leads to improved life style because it reduces the likelihood of relapse of ulcer disease.